Screening of the disease is which type of prevention
1. Primordial
2. Primary
3. Secondary
4. Tertiary

Correct answer: 3. Secondary

Explanation: Screening test is a part of secondary prevention Ref : Park's Textbook of Preventive and Social Medicine; 23rd edition